Foam cells in atherosclerosis contain lipid in the form of -
1. Oxidized LDL
2. Reduced LDL
3. Oxidized VLDL
4. Reduced VLDL

Correct answer: 1. Oxidized LDL

Explanation: Ans. is 'a' i.e., Oxidized LDLMorphology of atherosclerotic plaqueo There are three major components of an atherosclerotic plaquesCells : Smooth muscle cell and macrophages are the major cells with some contribution from foam cells (lipid-laden macrophages), and lymphocytes. Advanced atherosclerotic plaque may lack smooth muscles as smooth muscle cells undergo apoptosis.Extracellular matrix : Collagen, elastic fibers, proteoglycans.Lipids : Both intracellular and extracellular, with cholesterol and cholesterol ester being the major lipids.o From initiation to the development, atheromatous plaque progresses from the following stages.1 Type I (Initial) lesionThese are due to accumulation of isolated lipid filled macrophages (foam cells) and begins as fatty dots. These are not visible.Type II lesion (fatty streaks)These lesions are due to accumulation of multiple lipid-filled macrophages (foam cells). These are the earliest visible lesion of atherosclerosis. They are not significantly raised and thus do not cause any disturbance in blood flow.Type III (intermediate) lesion :These are same as type II with small extracellular lipid pool.Type IV (atheroma) lesiony Type II change with core of extracellular lipid.5 Type V lesion (fibroatheroma or mature atherosclerosis)This lesion is mature atherosclerotic plaque which has following structure:Fibrous cap : It may be thin or thick. It contains-SwftwlA muscle cells. macrophages,foam cells. lymphocytes, collagen, elastin and proteoglycans.Necrotic core : It is deep to the fibrous cap. It contains - disorganised mass of lipid (primarily cholesterol and cholesterol esters), cell debris, some foam cells, fibrin, and other plasma proteins.6. Type VI (complicated) lesion# Advanced lesions of atherosclerosis are at risk for the following pathological changes -Ruputure, ulceration, or erosion -->> can produce cholesterol emboli or may induce thrombus formation.Hemorrhage into plaque.Superimposed thrombus on ruptured lesion.Aneurysmal dilatation.o Fatty dot is the earliest lesion of atherosclerosis (but it is not visible) .o Fatty streak is the earliest visible lesion of atherosclerosis.o Lesions type I, II and III ate clinically silent, whereas type IV, V and VI may be clinically silent or overt.